Which muscle arises from supraglenoid tubercle?
1. Long head of Bisceps
2. Short head of Bisceps
3. Long Head of triceps
4. Coracobrachialis

Correct answer: 1. Long head of Bisceps

Explanation: Ans. A. Long head of BiscepsThe supraglenoid tubercle is a region of the scapula from which the long head of the biceps brachii muscle originates. It is a small, rough projection superior to the glenoid cavity near the base of the coracoid process. The term supraglenoid is from the Latin supra meaning above and glenoid meaning socket or cavity.